Cells found in dental pulp are all except
1. Odontoblast
2. Fibroblast
3. Macrophages
4. Ameloblast

Correct answer: 4. Ameloblast